The rapid decrease in tensile strength and increase in ductility of a wrought metal is seen in which stage of annealing?
1. Recovery stage
2. Recrystallisation stage
3. Grain growth stage
4. All of the above

Correct answer: 2. Recrystallisation stage